Human leukocyte antigen (HLA) which plays an important role in graft rejection is present on chromosome:
1. Short arm of chromosome 6
2. Long arm of chromosome 6
3. Short arm of chromosome 3
4. Long arm of chromosome 3

Correct answer: 1. Short arm of chromosome 6

Explanation: The genes for the HLA antigens are clustered in the major histocompatibility complex (MHC), located on the short arm of chromosome 6. Three of these genes (HLA-A, HLA-B, and HLA-C) code for the class I MHC proteins. Several HLA-D loci determine the class II MHC proteins (i.e., DP, DQ, and DR). Ref: Levinson W. (2012). Chapter 62. Major Histocompatibility Complex & Transplantation. In W. Levinson (Ed), Review of Medical Microbiology & Immunology, 12e.